In systemic LA toxicity there is:
1. Post depression convulsion
2. Post convulsion depression
3. Convulsions
4. Depression

Correct answer: 2. Post convulsion depression